Gold standard investigation for screening breast carcinoma in patients with breast implant -
1. MRI
2. USG
3. Mammography
4. CT scan

Correct answer: 1. MRI

Explanation: Ans. is 'a' i.e., MRI o It can be useful to distinguish scar from recurrence in women who have had previous breast conservation therapy for cancer (although it is not accurate within 9 months of radiotherapy because of abnormal enhancement).o It is the best imaging modality for the breasts of women with implants,o It has proven to be useful as a screening tool in a high-risk women (because of family history).o It is less useful than ultrasound in the management of the axilla in both primary breast cancer and recurrent disease.